During surgery of hernia, the sac of a strangulated inguinal hernia should be opened at the:
1. Neck
2. Fundus
3. Body
4. Deep ring

Correct answer: 2. Fundus

Explanation: An incision is made over the most prominent part of the swelling Each layer covering the anterior surface of the body of the sac "near fundus" is incised and, if possible, stripped off sac. The sac is then incised and any fluid, which may be highly infective, drained effectively.